Which of the following acts as cofactor after it's modification?
1. Vit-C
2. Pantothenic acid
3. Biotin
4. Zinc

Correct answer: 2. Pantothenic acid

Explanation: The functions of pantothenic acid are exerted through coenzyme A or CoA (A for acetylation). Coenzyme A is a central molecule involved in all the metabolisms (carbohydrate, lipid and protein). Coenzyme A may be regarded as a coenzyme of metabolic integration since acetyl CoA is a central molecule for a wide variety of biochemical reactions ref Satyanarayana 4th ed page 149